Placement of a double lumen tube for lung surgery is best confirmed by –
1. EtCO2
2. Airway pressure measurement
3. Clinically by auscultation
4. Bronchoscopy

Correct answer: 4. Bronchoscopy

Explanation: ↵

Best confirmation of tracheal placement (i.e. detection whether tube is in trachea or esophagus) → capnography (end tidal CO2)
Best confirmation of double lumen tube placement (whether in trachea or bronchus) → flexible fibreoptic bronchoscopy.